Peripheral conversion of T4 to T3 is inhibited by?
1. Propranolol
2. Diltiazem
3. Sotalol
4. Sodium iodide

Correct answer: 1. Propranolol

Explanation: Ans. is 'a' i.e., Propranolol